Most common type of Intussusception is -
1. Ileo-colic
2. Ilio-ileal
3. Colo-colic
4. Caeco-colic

Correct answer: 1. Ileo-colic

Explanation: Most common type of intussuseption is Ileocolic,